Adenosine deaminase inhibitors is -
1. Pentostatin
2. TxA2
3. Cladribine
4. All

Correct answer: 1. Pentostatin

Explanation: Ans. is 'a' i.e., Pemntostatin